Meniscal injury occurs during:
1. Rotation
2. Extension
3. Rotation and Flexion
4. Flexion

Correct answer: 3. Rotation and Flexion

Explanation: Ref: Apley's System of Orthopaedics and Fractures, 8th ed.Explanation:Mechanism of injury to MeniscusDamage to the meniscus is due to rotational forces directed to a flexed knee (as may occur w-ith twisting sports) is the usual underlying mechanism of injury.A valgus force applied to a Hexed knee with the foot planted and the femur rotated externally can result in a lateral meniscus tear.A varus force applied to the flexed knee when the foot is planted and the femur rotated internally can result in a tear of the medial meniscus.Symptoms and SignsThe patient's chief complaints are usually knee pain and swellingAnother typical complaint i s joint locking, when the patient is unable to straighten the leg fully. This can be accompanied by a clicking feeling.A tear of the meniscus commonly follows a trauma which involves rotation of the knee while it was slightly bent.In meniscal tears, pressing on the joint line on the affected side typically produces tenderness.The McMurrav test involves pressing on the joint line while stressing the meniscus fusing flexion-extension movements and varus or valgus stress).Stein man n test (with the patient sitting) and the Apley grind test (a grinding maneuver while the patient lies prone and the knee is bent 90deg) also elicit painBending the knee (into hyperflexion if tolerable), and especially squatting, is typically a painful maneuver if the meniscus is tornThe Cooper's sign is a subjective symptom of pain in the affected knee when turning over in bed at night.Meniscal tear causes pain with a twisting motion of the knee as the meniscal fragment gets pinched, and the capsular attachment gets stretched causing the complaint of pain.